Which of the following statement about diazoxide is false
1. It acts by causing prolonged opening of ATP dependent potassium channels in beta cells
2. It can cause severe hypoglycemia
3. It can be used to treat patients with insulinaemia
4. It is used as an antihypertensive agent

Correct answer: 2. It can cause severe hypoglycemia

Explanation: Diazoxide cause hyperglycemia and not hypoglycemia Diazoxide is a potassium channel activator, which causes local relaxation in smooth muscle by increasing membrane permeability to potassium ions. This switches off voltage-gated calcium ion channels, preventing calcium flux across the sarcolemma and activation of the contractile apparatus Refer katzung 11e p180